Most common cause of congenital hypothyroidism in
1. Antithyroid drugs
2. Thyroid dysgenesis
3. Defective hormone synthesis
4. Excessive iodine consumption

Correct answer: 2. Thyroid dysgenesis

Explanation: Congenital hypothyroidism:- The disorder encompasses a spectrum ranging from complete agenesis, partial agenesis to ectopic thyroid. Iodine deficiency is the commonest cause in endemic parts and thyroid dysgenesis is the most common etiology in non endemic areas. Clinical manifestations include hoarse cry, facial puffiness, umbilical hernia, hypotonia, mottling of skin and lethargy. Prolonged jaundice, constipation, and unexplained hypothermia may also indicate hypothyroidism. Open posterior fontanelle is an important indicator. History of maternal thyroid disease or ingestion of antithyroid medications enquired. Reference: GHAI essential Paediatrics